Which of the following determines the speed of recovery from IV anesthetic?
1. Liver metabolism of drug
2. Protein binding of drug
3. Redistribution of the drug from sites in the CNS
4. Plasma clearance of the drug

Correct answer: 3. Redistribution of the drug from sites in the CNS

Explanation: Ans. c. Redistribution of the drug from sites in the CNSAn IV anesthetic completely bypasses the process of absorption, because the drug is placed directly into the bloodstream. Highly perfused organs (vessel rich) including the brain take up disproportionately large amount of drug compared to less perfused areas (the muscle, fat, and vessel-poor groups).Drugs bound to plasma proteins are unavailable for uptake by an organ.After the highly perfused organs are saturated during initial distribution, the greater mass of the less perfused organs continue to take up drug from the bloodstream.As plasma concentration falls, some drug leaves the highly perfused organs to maintain equilibrium.This redistribution from the vessel-rich group is responsible for termination of effect of many anesthetic drugs.